For differentiating Inguinal hernia and femoral hernia the landmark will be :
1. Pubic symphysis
2. Femoral artery
3. Inferior epigastric vessel
4. Pubic tubercle

Correct answer: 4. Pubic tubercle

Explanation: Ans is 'd' ie Pubic tubercle The landmark for differentiating b/w femoral hernia and inguinal hernia is the pubic tubercle.Inguinal hernia (Indirect): The neck of the sac lies above and medial to the pubic tubercle.Femoral hernia: The neck of the sac lies below and lateral to the pubic tubercle.Inferior epigastric vessels is landmark for differentiating b/w direct & indirect inguinal hernias. neck of the direct hernia lies medial to the inferior epigastric vessels, where as the neck of the indirect hernia lies lateral to it.Note MC type of hernia in males -Indirect inguinal herniaMore common on Rt side*MC type in females -Indirect inguinal hernia* (not femoral hernia)